Ectopic ACTH syndrome is seen most commonly with-
1. Renal cell carcinoma
2. Lymphoma
3. Bronchogenic carcinoma
4. Pituitary adenoma

Correct answer: 3. Bronchogenic carcinoma